What is drug of choice for acute attack of migraine-
1. Methysergide
2. Caffeine
3. Amitryptiline
4. Sumatriptan

Correct answer: 4. Sumatriptan